A 20yr old female was diagnosed of granulose cell tumor of ovary.which of the following biomarker would be useful for the follow up of patient
1. CA19-9
2. CA 50
3. Inhibin
4. Neurospecific enolase

Correct answer: 3. Inhibin

Explanation: Ref Robbins 9/e p1032 8/e p 1050 Granulosa cell tumor : The most common ovarian tumor That is composed of cells,that stains positively with inhibin The tumor cells may Secrete oestrogen and causes precocious sexual development in girls.Or increase the risk of endometrial hyperplasia and carcinoma in women Less commonly granulosa tumor cells may produce androgen and produce masculinization